Most common site of thyroglossal cyst is -
1. Subhyoid
2. Suprahyoid
3. Floor of mouth
4. Beneath foramen caecum

Correct answer: 1. Subhyoid

Explanation: Ans. is 'a' i.e., Subhyoid Thyroglossal cyst* It is cystic swelling developed in the remnant of the thyroglossal duct or tract* Site - It may be present in any part of the thyroglossal tract (thyroglossal tract extends from foramen caecum to the isthmus of thyroid)* Common sites are:# Subhyoid (most common)# In the region of the thyroid cartilages,# Suprahyoid# In the floor of mouth# Beneath the foramen caecum* It is a midline swelling, except in the region of the thyroid cartilage, where the thyroglossal tract is pushed to one side, usually to the left.* Though its a congenital swelling most common age of presentation is between 2 to 4 yrs.* Mobility - Cyst can be moved sideways but not vertically* Peculiar characterstic which helps in distinguishing thyroglossal cyst from other neck swelling# It moves up with protrusion of tongue* as the thyroglossal tract is attached to the tongue.# It also moves with degluttionso do all thyroid swellings, subhyoid bursitis, sublingual desmoid.* Cyst is lined by pseudostratified columnar epithelium and squamous epithelium with hetrotopic thyroid tissue present in 20% of cases..* Complications# Recurrent infection,# formation of thyroglossal fistula# carcinomatous change (usually Papillary carcinoma).* Treatment: Treatment involves the uSistrunk operation" which consists ofenbloc cystectomy and excision of the central hyoid bone to minimize recurrence.